All of the following agents are used in the treatment of prostate cancer Except
1. Diethylstilbestrol (DES)
2. Leuprolide
3. Flutamide
4. Tamoxifen

Correct answer: 4. Tamoxifen

Explanation: The treatment of steroid-sensitive tumors includes the removal or antagonism of hormones promoting tumor growth and the administration of hormones inhibiting tumor growth. Prostate cancer is treated with estrogens, such as diethylstilbestrol; antiandrogens, such as flutamide; and gonadotropin-releasing hormone agonists (leuprolide and goserelin). When administered continuously in the form of long-acting injectables or implants, the releasing hormone agonists inhibit the release of gonadotropins, resulting in decreased testosterone production. Tamoxifen is an antiestrogen with partial agonist activity that is used in treating estrogen-sensitive breast cancer.